Death caused by rash and negligent of doctor is punishable under
1. 324 IPC
2. 304 B IPC
3. 304 A IPC
4. 354 A IPC

Correct answer: 3. 304 A IPC

Explanation: Refer the byte "Legal sections".